Which hormone inhibits FSH secretion in feedback-
1. Testosterone
2. Progesterone
3. Inhibin
4. None

Correct answer: 3. Inhibin

Explanation: Ans. is 'c' i.e., Inhibin * LH is tropic for lyedig cells and the secretion of testosterone is under the control of LH. FSH is tropic for sertoli cells and stimulates sertoli cells to secrete inhibin and androgen binding protein (ABP). ABP binds testosterone, increasing its local concentration in the testes and thereby stimulating spermatogenesis.* Consistent with the phenomenon that the secretion of the target hormone inhibits is tropic hormone (negative feedback), testosterone inhibits LH secretion while estrogen (estradiol) and inhibin inhibit FSH secretion. Testosterone and estrogen have negative feedback at both pituitary and hypothalamic levels (GnRH), whereas inhibin exert negative feedback at pituitary level only.